Megaloblastic anemia may be caused by all of the following except
1. Dilantin toxicity
2. Vitamin B12 deficiency
3. Folic acid deficiency
4. Long term aspirin intake

Correct answer: 4. Long term aspirin intake

Explanation: Dilantin is phneytion. It reults in folic acid deficiency that can result in Megaloblastic anemia